Burtonian line is seen in which poisoning ?
1. Thallium
2. Lead
3. Arsenic
4. Mercury

Correct answer: 2. Lead

Explanation: Burtonian line are bluish lines along the gems seen in lead poisoing. It is seen opposite to caries tooth. It occurs beacuse of lead sulphite deposition.